Ingested RBCs (Erythrophagy) seen in:
1. Naegleria fowleri
2. Entamoeba histolytica
3. Entamoeba coli
4. Acanthamoeba

Correct answer: 2. Entamoeba histolytica

Explanation: Erythrophagocytosis (engulfed RBC inside trophozoites) is confirmatory of E. histolytica.Infective form of E. histolytica- Quadrinucleate cyst.